Drug of choice for prophylaxis of mania is:
1. Lithium
2. Haloperidol
3. Clozapine
4. Carbamazepine

Correct answer: 1. Lithium